Sections from a solid-cystic unilateral ovarian tumor in a 30-year old female show a tumor composed of diffuse sheets of small cells with doubtful nuclear grooving and scanty cytoplasm. No Call-Exner bodies are seen.The ideal immunohistochemistry panel would include -
1. Vimentin, epithelial membrane antigen, inhibin, CD99
2. Desmin, S-100 protein, smooth muscle antigen, cytokeratin
3. Chromogranin, CD45, CD99, CD20
4. CD3, chromagranin, CD 45, synaptophysin

Correct answer: 1. Vimentin, epithelial membrane antigen, inhibin, CD99

Explanation: Ans. is 'a' i.e., Vimentin, epithelial membrane antigen, inhibin, CD99This patient is having granulosa cell tumor of ovary which is chracterized histologically by :(i) Diffuse sheets of round and oval cells (ii) Inconspicuous groove and folds in nuclei - coffee bean appearance(iii) Scant cytoplasmo Granulosa cell tumor is positive for --> (i) Vimentin, (ii) Inhibin, (iii) CD99o Epithelial membrane antigen is positive in surface epithelial tumor.So, a option a is the best, and markers given in this option will help to make the diagnosis of granulosa cell tumor.